The presence of pulp stones on the radiograph of a tooth
indicates the presence of
1. Acute pulpitis
2. Acute pulpalgia
3. Chronic periodontitis
4. None of the above

Correct answer: 4. None of the above